The following age group is most severely affected by Rubella infection –
1. Females aged 25–35 Year
2. Young girls
3. Adolescent girls
4. Unborn child

Correct answer: 4. Unborn child